A 62-year old man with carcinoma lung presented to emergency department with respiratory distress. ECG showed electrical alternans. Most likely diagnosis is
1. Pneumothorax
2. Pleural effusion
3. Cardiac tamponade
4. Constrictive pericarditis

Correct answer: 3. Cardiac tamponade

Explanation: Electrical alterans-a beat-to-beat alternation in one or more components of the ECG signal-is a common type of nonlinear cardiovascular response to a a variety of hemodynamic and electro physiologic perturbations.Total electrical alterans with sinus tachycardia is a relatively specific sign of pericardial effusion,usually with cardiac tamponade. Ref:Harrison's med-18th edition,page no:1838